A 25 year old male present to Emergency with history of road traffic accident two hours ago. The patient is hemodynamically stable. Abdomen is soft. On catheterization of the bladder, hematuria is noticed. The next step in the management should be -
1. Immediate laparotomy
2. Retrograde Cystouretherography (RGU)
3. Diagnostic Peritoneal Lavage (DPL)
4. Contrast Enhanced computed Tomography (CECT) of abdomen

Correct answer: 4. Contrast Enhanced computed Tomography (CECT) of abdomen